Aspiration of sperms from testes is done in:
1. TESA
2. MESA
3. ZIFT
4. GIFT

Correct answer: 1. TESA

Explanation: TESA (Testicular sperm aspiration)- It is a method of obtaining sperm for ICSI (Intra cytoplasmic sperm injection).MESA- (Microsurgical epididymal sperm aspiration) it is another method of sperm collection from epididymis. ZIFT - Zygote Intra Fallopian Transfer GIFT - Gamete Intra Fallopian Transfer Shaw's textbook of Gynaecology- 16th edn- pg no 261.